Miller's acidogenic theory of caries is also known as:
1. Proteolytic theory.
2. Chemioparasitic theory.
3. Proteolytic chelation theory.
4. None of the above.

Correct answer: 2. Chemioparasitic theory.